Interstitial fluid volume can be measure by
1. Tritium oxide - Sodium thiosulfate
2. Inulin - Radioactive sodium
3. Aminopyrine - Sucrose
4. Inulin - Sodium albumin labelled with radioactive Iodine.

Correct answer: 4. Inulin - Sodium albumin labelled with radioactive Iodine.

Explanation: Interstitial fluid volume cannot be calculated directly. It is measure as ECF volume. Plasma volume
ECF volume calculated by Inulin. Plasma volume calculated by Serum albumin labelled with radioactive Iodine.